Savlon contains :
1. Cetrimide and cetavlon
2. Cetrimide and Chlorhexidine
3. Cetrimide, Chlorhexidine and butyl alcohol
4. Cetrimide and butyl alcohol

Correct answer: 2. Cetrimide and Chlorhexidine

Explanation: Savlon is a very popular disinfectant in the hospitals and it contains chlorhexidine and cetrimide.